The drug which has highest CSF penetration among anti TB drugs?
1. INH
2. Rifampicin
3. Ethambutol
4. Streptomycin

Correct answer: 1. INH

Explanation: Among the anti TB drugs used, INH has highest CSF penetrationRef: Harrison 19th / Page 205